Fracture of talus without displacement in x-ray would lead to -a) Osteoarthritis of ankleb) Osteonecrosis of head of talusc) Avascular necrosis of body of talusd) Avascular necrosis of neck of taluse) Non union
1. ac
2. bc
3. ad
4. b

Correct answer: 1. ac

Explanation: Complicatiosn of Talar neck fracture

Malunion                    
Avascular necrosis (osteonecrosis) of body.
Non-union  
Secondary osteoarthritis of ankle and subtalar joint.